Commonest cause of cellulitis is ?
1. Staphylococcus
2. Streptococcus
3. E. coli
4. Hemophilus

Correct answer: 2. Streptococcus

Explanation: Ans. is 'b' i.e., Streptococcus "The most common organisms associated with cellulitis are group A streptococci and S. aureus."- Schwartz